Ejection fraction denotes performance of -
1. Left ventricle
2. Left atrium
3. Aortic valve
4. Pulmonary valve

Correct answer: 1. Left ventricle